Which enzyme is deficient in Mc Ardle's disease?
1. Liver phosphorylase deficiency
2. Muscle phosphorylase deficiency
3. Lysosomal alpha-1, 4 glucosidase deficiency
4. G6PD deficiency

Correct answer: 2. Muscle phosphorylase deficiency

Explanation: Repeated question